Earliest symptom of Wilm's tumour:
1. Hematuria
2. Pyrexia
3. Abdominal mass/ tumour
4. Metastasis

Correct answer: 3. Abdominal mass/ tumour

Explanation: Ans. C i.e. Abdominal mass/ tumour